Which of the following is an important distinguishing characteristic of H. pylori as compared to Campylobacter species?
1. Oxidase production
2. Catalase production
3. Urease production
4. Curved shape

Correct answer: 3. Urease production

Explanation: Both Campylobacter and Helicobacter Belong to the family Campylobacteriaceae. Both are GNspiral-shaped or comma-shaped bacteria. Catalase and oxidase positive. Urease however, is produced only by Helicobacter.